Otosclerosis typically begins at:
1. Scutum
2. Round window
3. Tympanic membrane
4. Fossa antefenestrum

Correct answer: 4. Fossa antefenestrum

Explanation: Fossa antefenestrum